Maternal mortality rate definition include all except
1. Death within 6 months post delivery
2. Death during delivery
3. Death within 6 weeks post delivery
4. Death in pregnancy

Correct answer: 1. Death within 6 months post delivery